Presence of which of the following in the urine is diagnostic of glomerular injury:
1. 20% dysmoiphic RBC’s
2. Bright red cells
3. 100RBC per high power eld
4. Beta2 micro globulin

Correct answer: 1. 20% dysmoiphic RBC’s

Explanation: “The RBC ’s of Glomerular origin are often Dysmorphic when examined by Phase contrast microscopy”
“Hematuria with Dysmorphic RBC’s cast and protein excretion >500 mg /d is virtually diagnostic of Glomerulonephritis”.